Turner no of chromosomes
1. 45
2. 47
3. 46
4. 42

Correct answer: 1. 45

Explanation: Turner syndrome, characterized by primary hypogonadism in phenotypic females, results from partial or complete monosomy of the short arm of the X chromosome. With routine cytogenetic methods, the entire X chromosome is found to be missing in 57% of patients, resulting in a 45,X karyotype Clinical features Low posterior hairline Short stature Coarctation of aorta Cubitus valgus Streak ovaries, infertility, amenorrhea Peripheral lymphedema at birth Webbing of neck Broad chest and widely spaced nipples Pigmented nevi (Robbins Basic Pathology, 9 th edition. page : 240)